Stellate wound is produced with firearm in
1. Contact shot
2. Close shot
3. Range within 60 cm
4. Distant shot

Correct answer: 1. Contact shot

Explanation: Stellate wound is a characteristic of a contact wound. Specific appearances of contact shot: Muzzle/Recoil imprint mark is regarded as a patterned abrasion/ intradermal contusion caused by the expansive power of the gases lifting the skin forcibly up against the muzzle.- Characteristic imprint marks can provide clues to the type of the firearm and its position at the time of discharge. Back spatter: In a contact shot, the muzzle blast and negative pressure in the barrel may suck blood, hair, fragments of tissues and cloth fibers back into the barrel. Blowback phenomenon: Cruciate, stellate or ragged laceration is seen, especially if there is a thick bone immediately under the skin, such as the skull. This occurs as a result of expansion of gases beneath the skin and their exit through the entry wound (in contact wounds).